In Wilsons disease, copper deposition occurs in -
1. Pons
2. Medulla
3. Cerebellum
4. Basal ganglia

Correct answer: 4. Basal ganglia

Explanation: C.N.S. involvement in Wilson’s disease

In the brain, the toxic injury primarily affects the basal ganglia particularly the putamen which demonstrates atrophy and cavitation.

The involvement of basal ganglia produces extrapyramidal symptoms which are -

Dystonia
Incoordination
Tremor
Dysphagia
Dysarthria
Chorea


Memory loss, migraine headaches and seizures too can occur.
Patients can have difficulty in concentrating on tasks but cognition is usually not impaired.
Remember that Sensory abnormalities and muscular weakness are not seen in this diseased